Which one of the following characterizes a portal system of blood vessels?
1. The absence of a capillary bed, thus shunting arterial blood directly to venules
2. A capillary bed supplied and drained by a larger, non capillary vessel
3. Two capillary beds connected by a larger blood vessel
4. A continuous capillary bed that extends from one organ to another

Correct answer: 3. Two capillary beds connected by a larger blood vessel

Explanation: A portal system of blood circulation is defined as two capillary beds that are joined by an arterial or venous blood vessel. An example is the portal vein connecting the mucosal capillaries of the small intestine to the sinusoids (i.e., capillaries) of the liver. While capillary beds may connect parts of an organ (e.g., adrenal cortex, pancreatic islet), capillaries do not extend between organs. Ref: Morton D.A., Foreman K.B., Albertine K.H. (2011). Chapter 10. Midgut and Hindgut. In D.A. Morton, K.B. Foreman, K.H. Albertine (Eds), The Big Picture: Gross Anatomy.